A radiolucency associated with completely formed unerupted tooth is due to:
1. Impaction
2. Dentigerous cyst
3. Periodontal cyst
4. Odontogenic cyst

Correct answer: 2. Dentigerous cyst